All are false about McEwen's triangle except:
1. Mastoid antrum lies 1.5 cm deep to it
2. Surgical landmark for facial nerve
3. Present in preauricular region
4. It is bounded by suprameatal crest anteriorly

Correct answer: 1. Mastoid antrum lies 1.5 cm deep to it

Explanation: (a) Mastoid antrum lies 1.5cm deep to it(Ref. Shambaugh, 6th ed., page 32)It is a surgical landmark for the mastoid antrum, lying in the postauricular area. It is bounded superiorly by temporal line/supra mastoid crest which is the posterior extension of suprameatal crest.The suprameatal crest is the superior root of the zygomatic process.